All are complications of hydatid cyst in the liver except:
1. Jaundice
2. Suppuration
3. Cirrhosis
4. Rupture

Correct answer: 3. Cirrhosis

Explanation: Ans. (c) CirrhosisComplications of Hydatid Cyst:* MC- Rupture into biliary tree (Communicating cyst)* Rupture into bronchial tree* Rupture into Peritoneum, Pleura or Pericardial Cavities* Obstruction of Biliary tract with hydatid can result in Jaundice* Infection and Pus formation* No chance for Malignancy or Cirrhosis is seen